During Acute tonsillitis referred pain from tonsil to the middle ear is along
1. Glossopharyngeal nerve
2. Facial nerve
3. Trigeminal nerve
4. Vagus nerve

Correct answer: 1. Glossopharyngeal nerve

Explanation: Tonsils and tonsillar fossa are supplied by the glossopharyngeal nerve Any irritation or pain can be referred to the ear along the tympanic branch of the glossopharyngeal (Jacobson's) nerve.